ABE (Acute Bacterial Endocarditis) is most commonly caused by:
1. Staph. aureus
2. Str. Viridans
3. Str. hemolyticus
4. Esch. Coli

Correct answer: 1. Staph. aureus

Explanation: Staph. aureus